Sweat glands are which types of gland:
1. Simple tubular
2. Simple coiled tubular
3. Compound tubular
4. Compound acinar

Correct answer: 2. Simple coiled tubular

Explanation: Sweat glands are simple coiled tubular glands. Ducts of sweat glands are lined by Stratified Cuboidal Epithelium.